For a patient undergoing anticoagulant therapy, who requires unavoidable dental surgical treatment, the dental surgeon should:
1. Not take up the patient till the therapy is over
2. Bring down the dosage and proceed further
3. Adjust the dosage before and after dental visit
4. Consult the physician of the patient for joint decision

Correct answer: 4. Consult the physician of the patient for joint decision